Which one of the following drugs is not a long acting neuromuscular blocking agent?
1. Doxacurium
2. Mivacurium
3. Pancuronium
4. Pipecuronium

Correct answer: 2. Mivacurium

Explanation: Mivacurium is a short acting drug with duration of action is 15-30 minutes. All the other drugs are long acting. Drug. Duration of action Pancuronium. 60-120min Doxacurium. 60-120 min Pipecuronium. 50-100min From KD Tripati 7th edition Page no 352